Mobitz type 2 second degree AV block is seen in all except:
1. Hypothyroidism
2. Coronary Artery Disease
3. Sarcoidosis
4. Cushing syndrome

Correct answer: 4. Cushing syndrome

Explanation: Delay or lack of conduction through the atrioventricular (AV) node and below has multiple causes. Degenerative changes (eg, fibrosis, calcification, or infiltration) are the most common cause of nonischeamic AV block. Idiopathic fibrosis or calcification of the AV conduction system, commonly seen in the elderly, can cause complete AV block. Causes of Mobitz type 2 second degree AV block are - Damage of the conduction system from coronary artery disease, valve surgery, myocardial infarction, myocarditis, infiltrative cardiomyopathies (sarcoidosis, hemochromatosis), myxedema, Lyme disease, neuromuscular disease, and AV junction ablation REF : HARRISONS 21ST ED